Maralgia paresthetica is not caused by
1. Ascites
2. Alcohol consumption
3. Obesity
4. Pelvic surgery -

Correct answer: 2. Alcohol consumption

Explanation: A painful mononeuropathy of the lateral femoral cutaneous nerve (LFCN), meralgia paresthetica is commonly due to focal entrapment of this nerve. Meralgia paraesthetica can occur in pregnancy, in obesity and if there is tense ascites. It may be a result of trauma, surgery (such as pelvic osteotomy, spinal surgeries, laparoscopic hernia repair and bariatric surgery) Ref Harrison20th edition pg 2345